The diagnostic characteristics of Plasmodium falciparum are best described by which one of the following statement?
1. An important diagnostic feature is the irregular appearance of the infected red blood cell
2. A period of 72 Hour is required for development of the mature schizont, which resembles a rosette with only 8 to 10 oval merozites
3. Except in infection with very high parasitemia, only ring forms of early trophozoites and the gametocytes are seen in the peripheral smear
4. Schuffner stippling is routinely seen in red blood cells that harbor parasites

Correct answer: 3. Except in infection with very high parasitemia, only ring forms of early trophozoites and the gametocytes are seen in the peripheral smear

Explanation: P. falciparum infection is distinguished by the appearance of ring forms of early trophozoites and gametocytes, both of which can be found in the peripheral blood. The size of the RBC is usually normal. Double dots in the rings are common.